Patey's operation is:
1. Superficial parotidectomy.
2. Total parotidectomy.
3. Deep parotidectomy.
4. All of the above.

Correct answer: 1. Superficial parotidectomy.

Explanation: Patey's operation is the treatment of choice for Pleomorphic adenoma.